Diagnosis of ABO incompatiability can be from all of the following except?
1. Sweat
2. Saliva
3. Semen
4. CSF

Correct answer: 4. CSF

Explanation: Ans (d) CSF Ref Reddy , p 378 ABO group specific substances are found in high concentration in saliva, semen, vaginal secretion and gastric juice while in low concentration in sweat, tears and urine, so it is possible to determine blood group from an examination of these secretions. So for this question it can be said that, they are present in all tissues except CSF.